The lesion is painful and bleeds easily while taking the swab for gram staining. What will be the probable cause of infection?
1. Haemophilus ducreyi
2. Triponema pallidum
3. HPV
4. HSV 2

Correct answer: 1. Haemophilus ducreyi

Explanation: Ans. is 'a' i.e., Haemophilus ducreyiImage description - Chancroid (also known as soft chancre and ulcus molle) is a bacterial sexually transmitted infection characterized by painful ulceration on the genitalia that bleeds easily on if it is scrapped.